Causes of exudative pleural effusion all except
1. Mesothelioma
2. Liver cirrhosis
3. TB
4. Esophageal perforation

Correct answer: 2. Liver cirrhosis

Explanation: Ans. b (Liver cirrhosis). (Ref. Harrison, Principles of Medicine 18th/Ch.263)Features of Exudative pleural effusion1. Pleural fluid protein/serum protein > 0.52. Pleural fluid LDH/serum LDH > 0.6ETIOLOGY:ExudativeTransijdative1.Neoplastic1 CCF2.Infections2. Cirrhosis3.Pulmonary embolism3. Pulmonary embolism4.Collagen vascular disease4. Nephrotic syndrome5.GIT (esophageal perforation, etc)5. Mwxedema6.Sarcoidosis6. SVC' obstruction7.Uremia7. Per itoneal dialysis8.Asbestosis8. Uriinothorax9.Post CABG 10.Post radiation 11.Trauma (hemothorax) 12.Meigs and yellow nail syndrome 13.Pericardial disease 14.Chylothorax 15.Ovarian hyperstimulation 16.Post cardiac injury syndrome 17.Trapped lung 18.Drugs (nitrofurantoin, dantrolene, amiodarone, procarbazine, methysergide, bromocryptine)